Methylphenidate is used for:
1. Attention deficit disorder
2. Alzheimer's disease
3. Seizure disorder
4. Obsessive compulsive disorder

Correct answer: 1. Attention deficit disorder

Explanation: Ans. (a) Attention deficit disorderRef.:KDT 6th ed. / 470* Methylphenidate is the preferred drug for the treatment of attention deficit hyperkinetic disorder (ADHD). Other drugs used for this indication are amphetamines, atomoxetine and pemoline. Pemoline has been withdrawn due to life threatening hepatotoxicity.* Abuse of drugs like amphetamine, phencyclidine, methylphenidate, flumazenil etc. causes seizure and is NOT used for seizure disorder.* DOC for alzheimer's disorder- Rivastigmine/ Donepezil* DOC for OCD: Fluoxetine